In thyrotoxicosis, b-blockers do not control:
1. Anxiety
2. Tremors
3. Tachycardia
4. Oxygen consumption

Correct answer: 4. Oxygen consumption

Explanation: Beta-blockers do not correct the underlying metabolic abnormalities (i.e. does not affect the oxygen consumption) Beta-Blocker in Thyrotoxicosis Advantages Limitations Alletes adrenergic manifestations: Sweating, tremor Tachycardia, palpitations Nervousness, anxiety Beta-blockers do not significantly affect the thyroid status, it reduces to some extent the conversion of T4 and T3. Beta-blockers do not correct the underlying metabolic abnormalities (i.e. does not affect the oxygen consumption)